Key glycolytic enzymes are all except:
1. PFK
2. Hexokinase
3. Pyruvate kinase
4. Glucose 1,6-phosphatase

Correct answer: 4. Glucose 1,6-phosphatase